Conjunctivitis is seen in all except –
1. CMV
2. Adenovirus
3. Coxsackie A–24
4. Entero 70

Correct answer: 1. CMV

Explanation: Virus causing conjunctivitis are HSV, Adenovirus, Picornaviruses (Enterovirus 70, Coxsachievirtes A24), measles, VZV, mumps, molluscum contagiosum.